All of the following are true about genomic library, EXCEPT
1. Collection of cloned DNA fragments
2. Screening is done by oligonucleotide probes
3. Only exons are present
4. Vectors are used to carry and replicate the fragments

Correct answer: 3. Only exons are present

Explanation: A genomic library is bacteria with plasmids containing DNA fragments representing the majority of the genetic information from a plant or animal. Genomic library cDNA library Genomic DNA isolated from an organism is digested by restriction enzymes and put in separate vectors. mRNA is converted to cDNA which contains only exons. Each clone contains a fragment of the entire genome (exon + intron) of an organism within a vector. Each clone usually contains an intact gene Appropriate for small genome. Appropriate for large genome.